Nerve supply of scalpa) Auriculotemporal nerveb) Zygomatic nervec) Occipital nerved) Infratrochlear nerve
1. ab
2. abc
3. acd
4. bcd

Correct answer: 2. abc

Explanation: Nerves of the scalp and superficial temporal region




In Front of auricle


Behind th auricle




Sensory nerves


Sensory nerves




1.


 Supratrochlear branch of  the frontal (ophthalmic  division of trigeminal  nerve)


1.


Posterior division of great auricular nerve (C2, C3) from cervical plexus




2.


 Supraorbital, branch of  frontal (ophthalmic  division of trigeminal  nerve)


2.


Lesser occipital nerve (C2), from cervical plexus




3.


 Zygomaticotemporal,  branch of zygomatic  nerve (maxillary division  of trigerninal nerve)
 


3.


Greater occipital nerve (C2, dorsal ramus)




4.


Auriculotemporal branch of mandibular division of trigeminal nerve
 


4.


Third occipital nerve (C3, dorsal ramus




 


Motor nerve


 


Motor nerve




1.


 Temporal branch of facial  nerve


1.


 Posterior auricular barnch  of facial nerve